Retrospective study is -
1. Case-control study
2. Cohort study
3. Cross-sectional study
4. RCT

Correct answer: 1. Case-control study

Explanation: Ans. is 'a > b' i.e., Case-control study > Cohort study o Case-control study is a retrospective study.o Cohort study is mostly a prospective study. But retrospective cohort studies are also there (has been explained in previous sessions).